Falsely elevated ankle brachial index is used for evaluation of?
1. Deep vein thrombosis
2. Acute limb ischemia
3. Chronic venous insufficiency
4. Calcified vessels

Correct answer: 4. Calcified vessels

Explanation: Ankle brachial index always >1 If <= 0.9 =indicates vascular insufficiency (Berger disease) Option 4- Calcified vessels will upgrade peripheral resistance so develop Pseudo hypertension So, ABI is also |